The following vaccines can be given to immunocompromized child except?
1. Recombinant
2. Subunit
3. Live attenuated
4. Killed

Correct answer: 3. Live attenuated

Explanation: Ans. is 'c' i.e., Live attenuated o Live attenuated vaccine cannot be given in immunocompromized because even low virulent vaccine strain (of organism) can cause disease in immunocompromized patient.